Which of the following forms the renal angle
1. Lower border of 11th rib and medial border of erector spinae
2. Lower border of 12th rib and medial border of erector spinae
3. Lower border of 11th rib and lateral border of erector spinae
4. Lower border of 12th rib and lateral border of erector spinae

Correct answer: 4. Lower border of 12th rib and lateral border of erector spinae

Explanation: The renal angle is formed by the lower border of the 12th rib and the lateral border of erector spinae. The lower pole of the kidney occupies this angle. Tenderness in this angle is usually suggestive of infection in and around the kidney or renal stones. Ref:: Gray's Anatomy 41st edition Pgno: 1046